Which of the following is true regarding nerve injury?
1. In all cases of open wound with clinical signs of nerve injury, nerve exploration should always be done.
2. Nerve conduction velocity is best predictor within 48 hours of injury.
3. Traction nerve injury should be repaired immediately.
4. Postive Tinel's sign indicates the accurate location of the lesion.

Correct answer: 1. In all cases of open wound with clinical signs of nerve injury, nerve exploration should always be done.